Which amongst the following a carinoma-
1. Cytokeratin
2. Vimentin
3. Calretinin
4. CD45

Correct answer: 1. Cytokeratin

Explanation: Cytokeratins are proteins of keratin-containing intermediate filaments found in the intracytoplasmic cytoskeleton of epithelial tissue. The term "cytokeratin" began to be used in the late 1970s (for example, see "Intermediate-sized filaments of human endothelial cells" by Franke, Schmid, Osborn and Weber when the protein subunits of keratin intermediate filaments inside cells were first being identified and characterized.